Local anaesthesia causing methemoglobinemia ?
1. Procaine
2. Prilocaine
3. Etodicaine
4. Ropivacaine

Correct answer: 2. Prilocaine

Explanation: Ans. is 'b' i.e., Prilocaine Prilocaine and benzocaine can cause methemoglobinemia. Important facts Chlorprocaine is the shortest acting LA. Dibucaine is the longest acting, most potent and most toxic LA. Bupivacaine is the most cardiotoxic LA (Ropivacaine is a newer bupivacaine congener with less cardiotoxicity). o Levobupivacaine (The S (-) enantiomer of bupivacaine) is less cardiotoxic and less prone to cause seizure. o Prilocaine can cause Met haemoglobinemia. Lignocaine is the most commonly used LA. Bupivacaine has the highest local tissue irritancy. Chlorprocaine is contraindicated in spinal anaesthesia as it can cause paraplegia due to presence of neurotoxic preservative sodium metabisulphite. Procaine is the LA of choice in malignant hyperthermia